A 25-year-old woman complains of intense depressed mood for 6 months with inability to enjoy previously pleasurable activities. This symptom is known as:
1. Anhedonia
2. Avolition
3. Apathy
4. Amotivation

Correct answer: 1. Anhedonia

Explanation: Ans. is 'a' i.e., Anhedonia Anhedonia - inability to experience pleasure in previously pleasurable activities. It is often associated with depression.Avolition - lack of initiativeAmotivation - reduced drive and lack of ambition.Apathy - is the absence or lack of feeling, emotion, interest, concern, or motivation